Which of the following best denotes classical complement pathway activation in immunoinfiammatory condition -
1. C
2
, C
4
, C
3
 decreased
2. C
2
 and C
4
 normal, C
3
 is decreased
3. C
3
 normal and C
2
 C
4
 decreased
4. C
2
, C
4
, C
3
 all are elevated

Correct answer: 1. C
2
, C
4
, C
3
 decreased